C-type of nerve fibers are -
1. Postganglionic sympathetic
2. Kinesthesia
3. Pressure
4. Proprioception

Correct answer: 1. Postganglionic sympathetic

Explanation: Ans. is 'a' i.e., Postganglionic sympathetic o Type C-fibers are:PainTemperaturePostganglionic autonomic (mainly parasympathetic)